Ideal site for myringotomy and grommet insertion in serous otitis media is
1. Anterior superior quadrant
2. Anterior inferior quadrant
3. Posterio-superior
4. Posterio-inferior

Correct answer: 2. Anterior inferior quadrant

Explanation: In serous otitis media, a radial incision is made on the anteroinferior quadrant, in acute suppurative otitis media circumferential incision is made on the posteroinferior quadrant. Ref-ENT Dhingra textbook 6th edition, page no. 65.